In which one of the following salivary gland tumors, the tumoris composed of "intermediate cells" histologically?
1. Adenoid cystic carcinoma
2. Mucoepidermoid carcinoma
3. Pleomorphic adenoma
4. Warthin's tumour

Correct answer: 2. Mucoepidermoid carcinoma